B-cells are dispersed in which part of spleen
1. White pulp
2. Red pulp
3. Capsule
4. None

Correct answer: 1. White pulp

Explanation: The white pulp comprises lymphatic tissue consisting of b-lymphocytes and macrophagesThe red pulp consists of blood filled venous sinuses.The spleen is covered by dense connective tissue called the capsule.Reference: BD Chaurasia's handbook of general anatomy, 5th edition, page no.198